Danazol is used in the treatment of :
1. Cyclical mastalgia
2. Breast cyst
3. Non -- cyclical mastalgia
4. Epithelial changes in breast

Correct answer: 1. Cyclical mastalgia

Explanation: Ans. is a i.e Cyclical mastalgia Danazol is a derivative of 17 alpha ethinyl testosterone.deg Actions Actions Direct action Indirect action Decreased On Endometruim causing endometrial atrophy Suppresses pituitary gland and so 's oestrogen and progesterone Sex hormone binding globulin (SHBG) and so T 's free testosterone, therefore is androgenic and anabolic Uses : I find it quite difficult to mug up all uses of Danazol. Lets learn them by categoirising the uses by the different organs on which Danazol acts. Other use : In hereditary angioneurotic edema. Side effects : Weight gain, headache * Acne, hirsutismdeg (therefore should not be used in young females) Muscle cramps * Breast atrophy, amenorrhea Deepening of voice (irreversible) * Liver damage Increase LDL * Teratogenesity in early pregnancy (causing masculinization of female fetus). Danazol should not be given for more than 6-9 months at a time because of its antiestrogenic action and virilizing effects.deg Contraindications : * Liver disease Carcinoma prostrate Also know : Gestrinone has actions and uses similar to Danazol but has longer t1/2, so is used in biweekly doses. Its side effects are milder to Danazol and so it is preferred over Danazol.